While observing a mastectomy on a 60 year old female patient, a medical student was asked by the surgeon to help tie off the arteries that supply the medial side of the breast. The artery that gives origin to these small branches is the?
1. Internal thoracic artery
2. Musculophrenic artery
3. Posterior intercostal artery
4. Superior epigastric artery

Correct answer: 1. Internal thoracic artery

Explanation: Small branches from the internal thoracic artery, known as medial mammary branches, supply the medial side of the mammary gland. The lateral side of the mammary gland is supplied by the lateral thoracic artery. The musculophrenic artery is a branch of the internal thoracic artery, it travels laterally and supplies blood to the 7th through 9th intercostal spaces. The posterior intercostal arteries are branches from the descending aorta & they supply the lateral and posterior portions of the intercostal space. The superior epigastric artery is a branch of the internal thoracic artery & it supplies the upper rectus abdominis muscle and the upper abdominal wall.